Absolute contraindication to thrombolytic therapy is :
1. Pregnancy
2. History of hemorrhagic stroke in past one year
3. Patients on nitrates
4. Hypertension

Correct answer: 2. History of hemorrhagic stroke in past one year